About micro-munro abscess which of the following statements are true –
1. Seen in stratum comeum
2. Seen in psoriasis
3. Contain neutrophil only
4. All

Correct answer: 4. All